IInd cranial nerve is:
1. Optic nerve
2. Abducens nerve
3. Trigeminal nerve
4. Occulomotor nerve

Correct answer: 1. Optic nerve

Explanation: Ans. A Optic nerveRef: Gray's Anatomy, 41st ed. pg. 310* The cranial nerves are individually named and numbered, using Roman numerals, in a rostro-caudal sequence, reflecting their order of attachment to the brain. They are named as follows:Cranial nervesCN numberCN nameAttachment/CommentsIOlfactory nerveArises from the olfactory epithelium in the nasal cavity and terminates directly in cortical and subcortical areas of the frontal and temporal lobesIIOptic nerveThe axons of the optic nerve (II) pass into the optic chiasma, where medially positioned axons decussate; all of the axons emerge as the optic tract, which terminates in the lateral geniculate nucleus of the thalamusIIIOcculomotor nerveArise in, and are attached to, the midbrain.IVTrochlear nerve VTrigeminal nerveAttaches to the pons, medial to the middle cerebellar peduncle.VIAbducens nerveAttaches to the brainstem at, or close to, the pontomedullary junction.VIIFacial nerve VIIIVestibulocochlear N. IXGlossopharyngeal N.Attached to the medullaXVagus nerve XISpinal accessory nerveArises from cervical levels C1-C5/C6, enters the cranium through the foramen magnum and then exits via the jugular foramen, together with the glossopharyngeal and vagus nerves.XIIHypoglossal nerveAttached to the medulla